A man was beaten during a fight with a neighbour. His one tooth was broken and got some injury around mouth. This comes under which of the following?
1. Simple injury
2. Grievous injury
3. Dangerous injury
4. Assault

Correct answer: 2. Grievous injury

Explanation: Grievous Injury (S.320, I.P.C): Any of the following injuries are grievous. Emasculation Permanent privation of sight of either eye Permanent privation of hearing of either ear Privation of any member or joint Destruction or permanent impairing of the power of any member or joint Permanent disfiguration of the head or face Fracture or dislocation of a bone or tooth Any hurt which endangers life, or which causes the victim to be in severe bodily pain, or unable to follow his ordinary pursuits for a period of twenty days Ref: The Essentials of Forensic Medicine and Toxicology by K S Reddy, 27th edition, Page 256.